All are true about apoptosis except:
1. Inflammation is seen
2. Nuclear condensation
3. Chromatin cleavage
4. Cell shrinkage

Correct answer: 1. Inflammation is seen

Explanation: Features of Necrosis and Apoptosis Feature Necrosis Apoptosis Nucleus Pyknosis - Karyorrhexis - Karyolysis Fragmentation into nucleosome size fragments Cell size Enlarged (swelling) Reduced (Shrinkage) Cellular contents Enzymatic digestion; may leak out of cell Intact; may be released in apoptotic bodies Plasma membrane Disruoted Intact; altered structure, especially orientation of lipids Adjacent inflammation Frequent No Physiologic or pathologic role Invariably pathologic (culmination of irreversible cell injury) Often physiologic, means of eliminating unwan ted cells; may be pathologic after some forms of cell injury, especially DNA damage